"Endemic" typhus is transmitted by:
1. Rickettsia prowazeki
2. Ricketssia mooseri
3. Ricketssia burnetti
4. Ehrilichia chafeensis

Correct answer: 2. Ricketssia mooseri

Explanation: Ricketssia mooseri